BIS-GMA in composites
1. Replaced strontium filler particles
2. Replaced acid soluble glass particles
3. Replaced silane coupling agents
4. Replaced methacrylate based matrix

Correct answer: 4. Replaced methacrylate based matrix